Burkitt's lymphoma arises from -
1. T cell
2. B cell
3. Pre B cell
4. NK cell

Correct answer: 2. B cell